True about Visceral pain
1. It is poorly localized
2. Resembles "fast pain" produced by noxious stimulation of the skin
3. Mediated by B fibers in the dorsal root of the spinal nerve
4. Shows relatively rapid adaptation

Correct answer: 1. It is poorly localized

Explanation: Ans. (a) It is poorly localized(Ref: Ganong, 25th ed/p.166)Characteristics of visceral pain:#Poorly localized#Nauseating#Accompanied by sweating and changes in blood pressure